Assessment of progress of labour is best done by :
1. Station of head
2. Rupture of membranes
3. Contraction of uterus
4. Partogram

Correct answer: 4. Partogram

Explanation: Partograph is a graphical record of cervical dilatation and descent of head against the duration of labour in hours. It gives information about fetal and maternal condition which is recorded in a sheet of paper. Ref: Datta Obs 9e pg 122.